Floor of third ventricle is formed by all except
1. Tuber cinereum
2. Posterior perforated substance
3. Tegmentum
4. Anterior pituitary

Correct answer: 4. Anterior pituitary

Explanation: The floor is formed from before backwards by:Optic chiasmTuber cinereumInfundibulumMamillary bodiesPosterior perforated substanceTegmentum of midbrain(Ref: Vishram Singh textbook of clinical neuroanatomy second edition pg 137)